The activity of procaine is terminated by:
1. Elimination by kidney
2. Storage in the adipose tissue
3. Metabolism in the liver only
4. Metabolism in the liver and by pseudo-cholinesterase in the plasma

Correct answer: 4. Metabolism in the liver and by pseudo-cholinesterase in the plasma